Schwann cells are supporting cells of:
1. CNS
2. PNS
3. ANS
4. All of the above

Correct answer: 2. PNS

Explanation: (B) PNS # CNS/PNS Supportive Cells:> Astrocytes--physical support, repair, K+ metabolism.> Microglia--phagocytosis.> Oligodendrocytes--central myelin production.> Schwann cells--peripheral myelin production.> Ependymal cells--inner lining of ventricles.